The best method to confirm the diagnosis of carcinoma cervix is :
1. Physical examination
2. Pap smear
3. Cervical biopsy
4. Curettage

Correct answer: 3. Cervical biopsy

Explanation: Cervical biopsy